All of the following are SSRI'S except?
1. Paroxetine
2. Escitalopram
3. Fluvoxamine
4. Mirtazapine

Correct answer: 4. Mirtazapine

Explanation: Ans. D. MirtazapineSelective Serotonin Reuptake Inhibitors (SSRIs) includes:1. Citalopram2. Escitalopram3. Fluoxetine4. Fluvoxamine5. Paroxetine6. Sertraline